Tako- Tsubo cardiomyopathy is a type of
1. Dilated cardiomyopathy
2. Restrictive cardiomyopathy
3. Hypertrophic cardiomyopathy
4. Toxic cardiomyopathy

Correct answer: 1. Dilated cardiomyopathy

Explanation: Ref Harrison 19 th ed pg 1565 TAKOTSUBO CARDIOMYOPATHY The apical ballooning syndrome, or stress-induced cardiomyopathy, occurs typically in older women after sudden intense emotional or physical stress. The ventricle shows global ventricular dilation with basal contraction, forming the shape of the narrow-necked jar (takotsubo) used in Japan to trap octopi. Originally described in Japan, it is increas- ingly recognized elsewhere during emergency cardiac catheteriza- tion and intensive care unit admissions for noncardiac conditions. Presentations include pulmonary edema, hypotension, and chest pain with ECG changes mimicking an acute infarction. The left ventricular dysfunction extends beyond a specific coronary artery distribution and generally resolves within days to weeks.